Rheumatoid arthritis commonly affects the -
1. Cervical spine
2. Thoracolumbar spine
3. Lumbar spine
4. Sacral spine

Correct answer: 1. Cervical spine

Explanation: Ans. is 'a' i.e., Cervical spine o In decreasing frequency, the metacarpophalangeal (MCP), wrist, proximal interphalangeal (PIP), knee, metatarsophalangeal (MTP), shoulder, ankle, cervical spine, hip, elbow and temporomandibular joints are most commonly affected.